Amyloid stroma is seen in -
1. Papillary ca. thyroid
2. Follicular ca. thyroid
3. Anaplastic ca. thyroid
4. Medullary ca. thyroid

Correct answer: 4. Medullary ca. thyroid

Explanation: Ans. is 'd' i.e., Medullary Ca. thyroid